Sickle cell anemia is associated with which type of RCC?
1. Medullary
2. Papillary
3. Chromophobe
4. Colloid

Correct answer: 1. Medullary

Explanation: RENAL CELL CARCINOMA MC type of RCC: Clear cell carcinoma MC type seen with dialysis associated cystic disease: Papillary carcinoma Exclusively associated with sickle cell treat: Medullary cell carcinoma Best prognosis: chromophobe carcinoma